Follicle formation may be seen in all of the following except:
1. Trachoma
2. Vernal keratoconjunctivitis
3. Inclusion conjunctivitis
4. Epidemic keratoconjunctivitis

Correct answer: 2. Vernal keratoconjunctivitis

Explanation: Ans. Vernal keratoconjunctivitis